Millon's test is used for detection of -
1. Phenylalnine
2. Cystine
3. Tyrosine
4. Tryptophan

Correct answer: 3. Tyrosine

Explanation: Ans. C. TyrosineMillon's test:-Phenolic amino acids such as Tyrosine and its derivatives respond to this test. Compounds with a hydroxybenzene radical react with Millon's reagent to form a red colored complex. The reagent is made by dissolving metallic mercury in nitric acid and diluting with water.